Which  of  the  following  hormones  is an example of a peptide hormone?
1. Parathormone
2. Adrenaline
3. Cortisol
4. Thyroxine

Correct answer: 1. Parathormone